Glibenclamide reduces blood glucose in all of the following EXCEPT:
1. Non diabetics
2. Type 1 diabetics
3. Type 2 diabetics
4. Obese diabetics

Correct answer: 2. Type 1 diabetics

Explanation: (Ref: KDT 6/e p266) Sulfonylureas decrease blood glucose in diabetics as well as non-diabetics. It requires at least 30% of functional beta cells for their action. Insulin is the only treatment for type 1 doanetes.